Superficial circumflex iliac artery is a branch of which of the following arteries?
1. Femoral artery
2. Internal iliac artery
3. External iliac artery
4. Internal pudendal artery

Correct answer: 1. Femoral artery

Explanation: Superficial circumflex iliac artery is a branch of femoral artery. It is the smallest branch of the femoral artery. It pierces the deep fascia of the thigh lateral to the saphenous opening and courses laterally towards anterior superior iliac spine to supply superficial fascia and skin. Branches of femoral artery: Superficial epigastric artery Superficial circumflex iliac artery Superficial external pudendal artery Deep external pudendal artery Profunda femoris artery Descending genicular artery Branches of external iliac artery: Inferior epigastric artery Deep circumflex iliac artery